The Father of Modern Surgery is
1. Sushruta
2. Claude Bernard
3. Ambroise Pare
4. Andrews Gruntzig

Correct answer: 3. Ambroise Pare

Explanation: Though it may seem ridiculous to remember the names of innumerable scientists and personalities it assumes great importance in view of the current trend of AIPGME and AIIMS exams which contain at least 1 persona based question each time. Here is a comprehensive list of all the FATHERS of all our SUBJECTS : Father of Anatomy Herophilus of Chalcedon Father of Physiology Claude Bernard Father of Microbiology Louis Pasteur Father of Bacteriology Sir Robert Koch Father of Chemotherapy Paul Ehrlich Father of Pharmacology Oswald Schmiedberg Father of Modern Pathology Rudolf Virchow Father of Forensic Medicine Bernard Spillsbury Father of Modern Epidemiology John Snow Father of Occupational Health Ramazzini Father of Modern Medicine Hippocrates Father of Indian Medicine Charaka Father of American Medicine William Osler Father of Modern Surgery Ambroise Pare Father of Indian Surgery Sushruta Father of Antiseptic Surgery Joseph Lister Father of Modern Inguinal Hernia Surgery Edoardo Bassini Father of Thyroid Surgery Emil Kocher Father of Genetics Gregor Mendel Father of Modern Human Genetics Dr Victor A. McKusick Father of Psychoanalysis Sigmund Fruend Father of Porphyrin chemistry Hans Fischer Father of PTCA Andreas Gruntzig Father of Modern Psychiatry Johann Weyer Father of American Psychiatry Benjamin Rush Father of Biology Aristotle Father of Diagnostic Imaging Roentgen